All of the followings are seen GDM; except:
1. Malformations
2. Polyhydramnios
3. Obesity
4. Previous h/o macrosomia

Correct answer: 1. Malformations

Explanation: Ans. (a) MalformationsRef: Williams Obstetrics 25th Ed; Page No-1111* Malformations are seen in overt DM or Pre-gestational DM.* Past history of macrosomia is also high risk group for GDM screening.Maternal and Fetal Effects* Neonatal Hypoglycemia* Fetal Macrosomia* Maternal Obesity